A cardiotoxic drug is -
1. Adriamycin
2. Cyclophosphamide
3. 5-FU
4. All of the above

Correct answer: 4. All of the above

Explanation: Ans. is 'd' i.e., All of the above